Reverse transcription causes synthesis of?
1. RNA from DNA template
2. DNA from RNA template
3. RNA from RNA template
4. DNA from DNA template

Correct answer: 2. DNA from RNA template

Explanation: Ans. is 'b' i.e., DNA from RNA templateAccording to the central dogma, information flows from DNA to RNA to protein, Exception to central dogma of molecular biology is reverse transcription.reverse transcription refers to reverse of transcription, i.e. synthesis of double stranded DNA from RNA.catalyzed by enzyme reverse transcriptase which uses RNA template to synthesize DNA, thus called RNA dependent DNA polymerase.For eg- Retroviruses (e.g. HIV) carry RNA as their genetic material which is used to synthesize DNA by reverse transcriptase.